Rim Sign on Contrast Studies of kidney is seen in?
1. Chronic Hydronephrosis
2. Renal Cortical Necrosis
3. Renal Papillary Necrosis
4. RCC

Correct answer: 1. Chronic Hydronephrosis

Explanation: RIM SIGN-Chronic Hydronephrosis REVERSE RIM SIGN-Renal Cortical Necrosis * RIM sign indicates the markedly thinned out atrophic renal parenchyma surrounding the dilated pelvicalyceal system in Chronic Hydronephrosis